Pyruvate can be converted directly into all of the following EXCEPT:
1. Phosphoenol Pyruvate
2. Alanine
3. Acetyl CoA
4. Lactate

Correct answer: 1. Phosphoenol Pyruvate

Explanation: Pyruvate can be converted directly into all of the following except phosphoenol pyruvate. Phosphoenol pyruvate to pyruvate conversion Catalyzed by pyruvate kinase. Irreversible step So pyruvate can't be converted directly into phosphoenol pyruvate. (Option b) During fasting, transamination reaction in muscles produces alanine from pyruvate by enzyme ALT , known as Cahill cycle (Glucose-Alanine Cycle). (Option c) In mitochondria,pyruvate forms Acetyl CoA by enzyme pyruvate dehydrogenase (link reaction). (Option d) In exercising muscles, pyruvate gets converted to lactate due to anaerobic conditions by using enzyme LDH (reversible enzyme) (Cori's cycle)